Griseofulvin is not useful in one of the following :
1. Tinea capitis
2. Tinea cruris
3. Tinea versicolor
4. Tinea pedis

Correct answer: 3. Tinea versicolor